Preconception counseling for a woman is given by:
1. Obstetricians
2. Midwives
3. General physician
4. All

Correct answer: 4. All

Explanation: Ans. d. All